Under Insecticide Treated Bed N ets Program me, insecticide used is -
1. Deltamethrin
2. Malathion
3. Lindone
4. Fenitrothion

Correct answer: 1. Deltamethrin

Explanation: Ans. is 'a' i.e., Deltamethrin o Insecticide Treated Bed Nets (ITBN) Programme (esp. deltamethrin) has resulted in significant decline in malaria incidence and APIAverage decline in anopheline mosquito density - 68%Average decline in cuicine mosquito density - 50%o Chemicals used in ITBN Programme : Synthetic pyretheroidsDeltamethrin : 2.5% in dosage of 25 mg/m2Cyfluthrin: 5% in dosage of 50 mg/m2Other insecticides used : Permethrin, Lambdacyhalothrin, Etofenprox, Cypermethrino Effectiveness of pyrethroids: For 6-12 months (Retreatment every 6 months)o Long-lasting insecticidal mosquito nets (LLINs) : Also use pyrethroid insecticides, and a chemical binder that allows the nets to be washed > 20 times, allowing use for > 3 years.